Clathrins used in
1. Receptor mediated endocytosis
2. Exocytosis
3. Cell to cell adhesion
4. Plasma membrane

Correct answer: 1. Receptor mediated endocytosis

Explanation: In receptor-mediated Endocytosis, clathrin is the receptors for the ligand. The cell membrane fuses around the receptor-ligand complex forming a vesicle. (Ref: Textbook of medical physiology-Geetha N)